Which of the following statements about pegfilgrastim is true?
1. It decrease the risk of neutropenia in patients on anti cancer therapy
2. It is a short acting drug
3. It can be given orally
4. It is recombinant GM CSF

Correct answer: 1. It decrease the risk of neutropenia in patients on anti cancer therapy

Explanation: PEGFILGRASTIM:- Long acting granulocyte colony stimulating factor (GCSF). It is used along with anticancer drug to decrease neutropenia. Commonly given by SC route. Drug ending with GRASTIM are granulocytes stimulator. Drug ending with GRAMOSTIM are granulocyte monocyte stimulator. Eg:- SARGRAMOSTIM.